All of the following hormones stimulate cAMP, EXCEPT:
1. Glucagon
2. Follicle stimulating hormone
3. Luteinizing hormone
4. Acetylcholine

Correct answer: 4. Acetylcholine

Explanation: Hormones that Stimulate Adenylyl Cyclase: ACTH ADH-Adrenergics Calcitonin CRH FSH Glucagon hCG LH MSH PTH TSH Hormones that Inhibit Adenylyl Cyclase: Acetylcholine 2-Adrenergics Angiotensin II Somatostatin Ref: Weil P. (2011). Chapter 42. Hormone Action & Signal Transduction. In D.A. Bender, K.M. Botham, P.A. Weil, P.J. Kennelly, R.K. Murray, V.W. Rodwell (Eds), Harper's Illustrated Biochemistry, 29e.